Following changes are seen during capacitation of a sperms except ?
1. Increased permeability to calcium
2. Decreased permeability to calcium
3. Removal of cholesterol from acrosome
4. Increased motility

Correct answer: 2. Decreased permeability to calcium

Explanation: Ans. is 'b' i.e., Decreased permeability to calcium Capacitation of sperm (spermatozoa) Spermatozoa leaving the testis (seminiferous ubules) are not fully mobile. They continue their maturation and acquire their mobility during their passage through epididymis. From epididymis they come to vas deference, distal end of which also receives the secretions of seminal vesicle, and continues as the ejeculatory duct. The ejeculatory duct joins the prostatic urethra. Once ejeculated into the the female, vaginal secretions improve the motility and fertilizing ability of sperms. Further exposure to secretions of female genital tract (in uterus and/or fallopian tube) further improves the mobility and fertilizing ability of the sperms. The beneficial effects of stay in the female genital tract are collectively called capacitation, from the isthmus, capacitated sperms move rapidly to the ampullas, where fertilization takes place. Following changes occur during capacitation :- i) Uterine and fallopian tube fluids wash away the various inhibitory factors that suppress sperm activity in male genital tract. ii) Removal of cholesterol vesicle from acrosome so that acrosomal membrane becomes weak and can release enzyme at the time of fertilization. iii) Increase membrane permeability to calcium ion.